Bronchiectasis is most common in which lobe:
1. Right upper lobe
2. Right middle lobe
3. Left upper lobe
4. Left lower lobe

Correct answer: 4. Left lower lobe

Explanation: Answer is D (Left lower lobe): "Bronchiectasis is commonly affects lower lobe bronchi, the left side being affected more frequently than right" - API 7th Right middle lobe and lingual are next in frequency of involvement.